In Hemolytic anemia which stones are commonly seen :
1. Pigment stone
2. Cholesterol stone
3. Mixed stone
4. All of above

Correct answer: 1. Pigment stone

Explanation: Ans. (a) Pigment stonesRef: Bailey & Love 26th ed. /1106-1107In hemolytic anemia like hereditary spherocytosis, on account of increased extravascular hemolysis, there is production of calcium bilirubinate stones (pigment stones).